Tension band wiring is done in all except -
1. Fracture patella
2. Fracture alecranon
3. Fracture medial malleolus
4. Colle's fracture

Correct answer: 4. Colle's fracture

Explanation: A tension band wire is a form of orthopaedic internal fixation method used to convert distraction forces into compression forces, promoting bone healing. Uses: Olecranon fracture Patella fracture Medial malleolus fracture ref : maheswari 9th ed